All are true about central retinal artery occlusion (CRAO) except
1. Most commonly occurs due to thromboembolus
2. Anterior chamber paracentesis is used for treatment
3. Sudden painful loss of vision
4. Occurs due to obstruction of retinal artery at the level of lamina cribrosa

Correct answer: 3. Sudden painful loss of vision

Explanation: Answer- C. Sudden painful loss of visionPatient notices sudden painless loss of vision.Patients's with a patent cilioretinal artery may retain central vision as the macula is spared.Emboli are the most common cause of retinal artery occlusion.Obstruction occurs at the level of lamina cribrosa.The larger retinal arteries are constuicted and look like thin threads while the smaller vessels are scarcely visible.The fundus appears milky white because of retinal edema.There is cherry-red spot at the macula.Blood column within the retinal veins is segmented (Cattle tracking)